Which intravenous anesthetic agent has local anaesthetic the properties-
1. Ketamine
2. Propofol
3. Thiopentone
4. Etomidate

Correct answer: 1. Ketamine

Explanation: Ketamine interact with voltage - gated sodium channels sharing binding site with local anesthetic. Local Anesthetics can also bind to other receptors like voltage -gated potassium channels and nicotinic acetylcholine receptors, it is widely accepted that anesthesia and analgesia is by interaction with Na+ channel. Other drugs - ketamine, Tricyclic antidepressant and Anticonvulsant has also effect on Na+ channel.